Beta lactam antibiotics are all except -
1. Amoxicillin
2. Aztreonam
3. Ceftriaxone
4. Vancomycin

Correct answer: 4. Vancomycin

Explanation: Ans. is 'd' i.e., Vancomycin